Most common coronary artery to undergo atherosclerosis is
1. Right Coronary artery
2. Left Circumflex artery
3. Left anterior descending artery
4. Right marginal artery

Correct answer: 3. Left anterior descending artery

Explanation: Most common coronary artery to undergo atherosclerosis is Left anterior descending artery